Structure passing along the aorta in the diaphragmatic opening -
1. Thoracic duct
2. Sympathetic duct
3. Greater splanchnic nerve
4. Lesser splanchnic nerve

Correct answer: 1. Thoracic duct

Explanation: Aortic opening
-        Level- T12
-        At osseoaponeurosis between right and left crus
-        Structures transmitted

   Aorta
   Thoracic duct
   Azygos vein